A 75-year old patient present with deterioration of vision. On examination the pupillary reflex is observed to be sluggish and the intraocular pressure is normal. Optic disc evaluation shows a large and deep cup and primarily shows paracentral scotomas. The most likely diagnosis is:
1. Primary narrow angle glaucoma
2. Normal tension glaucoma
3. Neovascular glaucoma
4. Absolute glaucoma

Correct answer: 2. Normal tension glaucoma

Explanation: Ans. Normal tension glaucoma